Bortezomib drug used in ?
1. Multiple myeloma
2. RCC
3. Liver cell carcinoma
4. Pancreatic carcinoma

Correct answer: 1. Multiple myeloma

Explanation: Ans. is 'a' i.e., Multiple myeloma Uses of bortezomib: The prime indication of bortezomib is multiple myeloma, both for first line combined therapy as well as for replapsed disease. It is also used for refractory mantle cell lymphoma. Note: The most prominent adverse effect of bortezomibis peripheral neuropathy. Others are diarrhea, fatigue, bone marrow depression especially thrombocytopenia.